A child suffered from a viral illness for which he took aspirin. 3 days later the child presented to the emergency with altered sensorium and icterus. What is the underlying biochemical defect -
1. Beta oxidation of fatty acids
2. Glucose-6-phosphatase deficiency
3. Pyruvate dehydrogenase deficiency
4. Urea cycle defect

Correct answer: 1. Beta oxidation of fatty acids

Explanation: Reye syndrome is characterized by acute non-inflammatory encephalopathy and fatty degenerative liver failure. Reye syndrome typically occurs after a viral illness and is associated with the use of aspirin during the illness. The pathogenesis of Reye syndrome: Appears to involve mitochondrial injury resulting in dysfunction that inhibits oxidative phosphorylation and fatty-acid beta-oxidation